Bromocriptine:
1. Inhibits prolactin release
2. Inhibits adrenalin synthesis
3. Inhibits insulin synthesis
4. Inhibits thyroid synthesis

Correct answer: 1. Inhibits prolactin release